Time between infection and maximum infectivity is:
1. Incubation period
2. Serial interval
3. Generation time
4. Communicable period

Correct answer: 3. Generation time

Explanation: Generation time